Preferred time for cleft lip repair surgery is
1. 5 - 6 months
2. 6 - 12 months
3. 12 - 18 months
4. 12 - 24 months

Correct answer: 1. 5 - 6 months

Explanation: U/L cleft lip : 5 - 6 months.
Bilateral cleft lip : 4 - 5 months.